Which of the following statements about facilitated diffusion is true?
1. It is a form of active transport
2. It requires a carrier protein
3. Rate of transport is proportionate to the concentration gradient
4. Requires creatine phosphate

Correct answer: 2. It requires a carrier protein

Explanation: Ans. (b) It requires a carrier proteinIf Diffusion happens without energy but with the help of carrier protein, it's called facilitated diffusionOne good example of a substance that use facilitated diffusion carrier protein is GLUCOSE transport using Glucose Transporters (GLUT)